Which of the following statements about squamous cell carcinoma of cervix is false:
1. Common at squamocolumnar junction
2. CT scan is mandatory for staging
3. Post coital bleeding is a common symptom
4. HPV 16 and 18 are associated with high risk of carcinogenesis

Correct answer: 2. CT scan is mandatory for staging

Explanation: Let’s see each option separately—
Option ‘a’ is Squamous cell carcinoma is common at squamous columnar junction.
Histologically Ca cervix is of 2 types.